The vitamin-K dependent proteins C and 5 are characterized by their ability to inactivate factor
1. VIIIa and Va
2. VIIIa
3. Va
4. None of the above

Correct answer: 1. VIIIa and Va